All are complications of thyroidectomy except
1. Hoarseness
2. Hemorrage
3. Hypercalcaemia
4. Hypothyroidism

Correct answer: 3. Hypercalcaemia

Explanation: Ans) c (Hypercalcaemia) Ref Bailey 25th ed pg 790Following thyroidectomy hypocalcaemia occurs due to parathyroid insufficiency and not hypercalcaemia.Complications of thyroidectomyHaemorrhage - Reactionary haemorrhage from one of the thyroid arteries.Respiratory obstruction - Most cases are due to laryngeal oedema. (Most important causes of laryngeal oedema is tension haematoma.)Recurrent laryngeal nerve paralysis - Voice change.Thyroid insufficiency - Usually occurs within 2yrs.Parathyroid insufficiency - Mainly due to vascular injury. Presented 2-5 days after operation.Thyroid crisis (storm)Acute exacerbation of hyperthyroidism occurs in inadequately prepared patient for thyroidectomy.Symptomatic & supportive treatmentIVFCooling the patientsO2 inhalationDiuretics for cardiac failureDigoxin for uncontrolled AFSedationSpecific treatmentCarbimazole 10-20mg 6th hrlyLugol's iodine 10 drops 8th hrlyPropranolol IV (1 -2mg) or orally (40mg 6th hrly)IV Hydrocortisone